Ipratropium bromide used in bronchial asthma, is :
1. β-Sympothomimetics
2. Methylxanthines
3. Anticholinergics
4. Mast cell stabilizers

Correct answer: 3. Anticholinergics